The serious complications of pregnancy with heart disease are the following except :
1. Antepartum hemorrhage
2. Postpartum hemorrhage
3. Puerperal infection
4. Puerperal thromboembolism

Correct answer: 1. Antepartum hemorrhage

Explanation: Antepartum hemorrhage